All these EXCEPT one cross the blood-brain barrier:
1. Morphine
2. Dopamine
3. Propranolol
4. Ether

Correct answer: 2. Dopamine

Explanation: Dopamine does not cross BBB. Hence it is administered as levodopa levodopa is the prodrug which is converted to dopamine in the brain Pg.no.425 K D Tripathi Seventh edition